Which of the following is aldosterone antagonist ?
1. Eplerenone
2. Deoxycorticosterone
3. Fenoldopam
4. Furosemide

Correct answer: 1. Eplerenone